In the HIV positive patient with tuberculosis, all are true except -
1. Decreased cavitation in lungs
2. Increased sputum positively forAFB
3. Highly variable tuberculin tests
4. Decreased fibrosis

Correct answer: 2. Increased sputum positively forAFB